A 45-year-old woman presents with abdominal pain and vaginal bleeding. A hysterectomy is performed and shows a benign tumor of the uterus derived from a smooth muscle cell. What is the appropriate diagnosis?
1. Angiomyolipoma
2. Leiomyoma
3. Leiomyosarcoma
4. Myxoma

Correct answer: 2. Leiomyoma

Explanation: Leiomyoma is the most common benign tumor of the uterus, usually arising in women of reproductive age. It originates from smooth muscle cells of the myometrium. None of the other choices are benign tumors of smooth muscle.Diagnosis: Leiomyoma of uterus